Hidradenitis suppurativa is a disease of?
1. Apocrine glands
2. Eccrine glands
3. Holocrine glands
4. None of the above

Correct answer: 1. Apocrine glands

Explanation: Suppurative hidradenitis is a chronic relapsing inflammatory disease originating in apocrine gland follicles.